During shock which organ is spared from vasoconstriction?
1. Skin
2. Heart
3. Kidney
4. Liver

Correct answer: 2. Heart

Explanation: During shock vasoconstriction is generalized, sparing only the vessels of the brain and heart.A widespread reflex venoconstriction also helps maintain the filling pressure of the heartIn the kidneys, both afferent and efferent arterioles are constrictedRef: Ganong's Review of Medical Physiology Twenty-Third Edition Page No:516